Tumours of anterior mediastinum include the following except
1. Thymoma
2. Lymphoma
3. Germ cell tumour
4. Schwannoma

Correct answer: 4. Schwannoma

Explanation: Schwannoma is a benign nerve sheath tumor arising from Schwann(neurilemmal)cells.Anterior mediastinal tumors include retrosternal goitre,aortic arch aneurysm,lymph node enlargement,thymoma,teratomas,dermoid,Pleuro-pericardial cyst.